Treatment of nasolacrimal duct obstruction:
1. Syringing
2. Probing
3. DCR
4. All

Correct answer: 4. All

Explanation: A. i.e. Syrignging B. i.e. Probing C. i.e. DCR, D. i.e. Dacryocystectomy